False regarding notochord are
1. Prenotochordal cells intercalates with hypoblast
2. Cranial end forms last
3. Neurenteric canal communicates amniotic & umbilical vesicle cavities
4. Extends from oropharyngeal membrane to primitive node

Correct answer: 2. Cranial end forms last

Explanation: B i.e. Cranial end forms last